Squamous cell carcinoma of the lip is least likely to develop in which of the following?
1. Scandinavian fisherman
2. Redheaded pornographic actress with a gorgeous year-round tan
3. Man from Lohatchie, AL, who smokes a clay pipe
4. Brunette secretary who constantly drinks tea

Correct answer: 4. Brunette secretary who constantly drinks tea

Explanation: Squamous carcinoma of the lip comprises 15-20% of all malignant tumors of the oral cavity. In approximately 30%, there is a clear association with heavy exposure to the sun. The incidence increases in those areas where there is more southerly latitude, the air is dry, and the altitude is higher.